Comedones are seen in :
1. Pityriasis
2. Lichen planus
3. Adenoma sebaceum
4. Acne vulgaris

Correct answer: 4. Acne vulgaris

Explanation: Ans is 'd' Acne vulgaris Primary lesion of Acne Vulgaris is comedonesOpen comedones are Black Heads*Closed comedones are White Heads*Comedones can evolve intoPapulesPustules &CystsSite of Appearance (requires presence of Sebaceous gland)Face (MC)*ShoulderBack & Upper chest